Li is best used in -
1. MDP - Bipolar
2. MDP - Unipolar
3. MDP - rapid cycles
4. Depression

Correct answer: 1. MDP - Bipolar

Explanation: Most important indications of lithium are treatment of acute mania and prophylaxis of bipolar mood disorder, i.e. manic - depressive illness.